Which of the following is the drugs of choice for corneal herpes?
1. Idoxuridine
2. Acyclovir
3. Vidarabine
4. Amantadine

Correct answer: 2. Acyclovir

Explanation: Acyclovir is the drug of choice for treatment of herpetic infection of eye, skin and genitals. It acts selectively against the herpes. It penetrates the intact corneal epithelium and stroma and produces therapeutic concentration in the aqueous humor. Vidarabine is active against a number of DNA viruses and is indicated in the treatment of herpes keratitis and viral keratoconjunctivitis. It is effective against herpes simplex superficial keratitis but ineffective in stromal disease. It acts by interfering with early steps in the synthesis of DNA. Ref: Textbook of Ophthalmology By H. V. Nema, page 100.